Which of the following type hypersensitivity reactions occurs in Farmer's lungs -a)  Type Ib)  Type IIc)  Type IIId)  Type IV
1. ab
2. cd
3. bd
4. ac

Correct answer: 2. cd

Explanation: Hypersensitivity pneumonitis (including farmer's lung) is an immunologically mediated response to an extrinsic antigen that involves both immune complex (type HI) and delayed type (type IV) hypersensitivity reactions._____ Robbins 703.